The drug ofchoice in the teratment oftropical sprue is-
1. Tetracycline
2. Prednisolone
3. Gliadin
4. Cyclosporine

Correct answer: 1. Tetracycline

Explanation: Tropical sprue is treated with antibiotics. This kills the bacteria overgrowth that results in this condition. Antibiotics may be given for a period of two weeks or one year. Tetracycline is the most commonly used antibiotic for treating tropical sprue Ref Davidson 23rd edition pg 252